Which of the following is true of 'placebo' ?
1. Placebo is a dummy medication
2. Placebo is the inert material added to the drug for making tablets
3. Placebos do not produce any effect
4. All patients respond to placebo

Correct answer: 1. Placebo is a dummy medication